True regarding anaesthesia apparatus –
1. Rotameter reading may not get affected by dirt inside the tube
2. Rotameter reading may not get affected by static electricity
3. The Boyle machine is an intermittent flow device
4. An oxygen failure safety device operate even in the absences of nitrous oxide

Correct answer: 4. An oxygen failure safety device operate even in the absences of nitrous oxide

Explanation: Oxygen failure safety device operates to detect oxygen supply pressure (not N2O pressure). So, if O2 supply pressure is low it operates to interrupt the flow of N2O.